Furosemide should not be administered with NSAIDS because they:
1. Inhibit prostacyclin synthesis
2. Prevent platelet aggregation
3. Decrease sodium reabsorption
4. Increase the secretion of furosemide in urine

Correct answer: 1. Inhibit prostacyclin synthesis

Explanation: Indomethacin and other NSAIDs diminish the action of high ceiling diuretics. Inhibition of PG synthesis in the kidney, through which furosemide and related drugs induce intrarenal haemodynamic changes which secondarily affect salt output, appears to be the mechanism. Antihypertensive action of thiazides and furosemide is also diminished by NSAIDs.